Progression of congenital scoliosis is least likely in which of the following vertebral anomalies -
1. Fully segmented Hemivertebra
2. Wedge vertebra
3. Block vertebra
4. Unilateral unsegmented bar with Hemivertebra

Correct answer: 3. Block vertebra

Explanation: Congenital vertebral anomalies causing scoliosis are :


Hemivertebrae
Wedge vertebra
Unsegmented bar
Block vertebra
Combination : unsegmented bar with hemivertebrae


Amongst these minimum chances of progression are with block vertebrae and maximum with the combination of unsegmented bar & hemivertebrae.
Unsegmented bar - with hemivertebra > unsegmented bar > hemivertebra > wedge vertebra > block vertebra